DNA dependent RNA synthesis is inhibited by which of the following drug?
1. Rifampicin
2. Ethambutol
3. Colchicine
4. Chloromycetin

Correct answer: 1. Rifampicin

Explanation: Rifampicin is an antimycobacterial drug which exerts both intracellular and extracellular bactericidal activity by binding to and inhibiting mycobacterial DNA-dependent RNA polymerase blocking RNA synthesis. Ethambutol is a bacteriostatic against M tuberculosis. It acts by inhibiting arabinosyl transferases involved in cell wall synthesis, which probably inhibits the formation of arabinogalactan and lipoarabinomannan. Colchicine has antimitotic effects, arrests cell division in G1 by interfering with microtubule and spindle formation. Ref: Harrison's principles of internal medicine 18e chapter 168.